Which of the following is a Enrichment broth?
1. Blood agar
2. Loeffler's serum slope
3. Alkaline peptone water
4. Chocolate agar

Correct answer: 3. Alkaline peptone water

Explanation: Enrichment broth :

Selenite F and Tetrathionate broth for salmonella and shigella.
Alkaline peptone water used for vibrio cholerae.